A feilised ovum reaches the uterine cavity by the 7th day from ovulation. How long does it take for it to travel through the fallopian tube?
1. 3-4 days
2. 5-6 days
3. 7-8 days
4. 10 days

Correct answer: 1. 3-4 days

Explanation: The feilised ovum takes 3-4 days to travel through the fallopian tube and reaches the uterine cavity by the 7th day from ovulation. It is fully embedded in the endometrium by the 14th day.